A diabetic patient present with bloody nasal discharge, orbital swelling and pain. Culture of periorbital pus showing branching septate hyphae. Which of the following is the most probable organism involved?
1. Mucor
2. Candida
3. Aspergillus
4. Rhizopus

Correct answer: 3. Aspergillus

Explanation: Ans. is 'c' i.e., Aspergillus* Hint is branching septate hyphae.* Mucor and Rhizopus have broad aseptate hyaline hyphae with wide angle branching.* Candida is a yeast like fungi.